In oral poisoning with carbamate insecticide_______ may be hazardous
1. Pralidoxime
2. Atropine
3. Magnesium sulfate purgative
4. Gastric lavage with activated charcoal

Correct answer: 1. Pralidoxime

Explanation: Refer kDT 7/e p 111 Oximes are in effective in carbamate poisoning. Rathre, this can worsen the poisoning due to weak anticholinesterase activity by its own